Which of the following is not a cause of neuropathic joint
1. Meningomyelocele
2. Tabes dorsalis
3. Leprosy
4. Psoriasis

Correct answer: 4. Psoriasis

Explanation: Other causes:

Diabetes mellitus
Syringomyelia
Amyloidosis.